Red man syndrome is seen with
1. Lincomycin
2. Vancomycin
3. Linezolide
4. Carbanicilliase

Correct answer: 2. Vancomycin

Explanation: Ans. (b) Vancomycin